Thiamine deficiency - causes ?
1. Pellagra
2. Ben - Beri
3. Keshan's disease
4. Rickets

Correct answer: 2. Ben - Beri

Explanation: Ans. is 'b' i.e., Beri-Berl Beri-beri Deficiency of thiamine (Vit B]) Can be dry (neural involvement)